True about SCID in children is:
1. It is due to adenosine deaminase deficiency
2. Humoral immunity is predominantly affected
3. Child should receive double dose of all vaccines
4. Patients with SCID have normal thymus

Correct answer: 1. It is due to adenosine deaminase deficiency

Explanation: SCID: It is due to adenosine deaminase deficiency SCID- combined antibody and cellular defect Live vaccines are contraindicated in SCID Patients with SCID have very small thymus; tonsils & adenoids are also absent or underdeveloped